The primate spaces are related to the position of the
diastema that are
1. Distal to the maxillary primary canines and mesial to the mandibular primary canines
2. Mesial to the maxillary primary canines and distal to the mandibular primary canines
3. Distal to both the maxillary and Mandibular primary canines
4. Mesial to both maxillary and mandibular primary canines

Correct answer: 2. Mesial to the maxillary primary canines and distal to the mandibular primary canines